True about treatment of nocturnal enuresis
1. lmipramine
2. CPZ
3. Alprazolam
4. Haloperidol

Correct answer: 1. lmipramine

Explanation: A i.e. Imipramine